Why there is higher incidence of endobronchial intubation in pediatric patients -
1. Short trachea
2. Longer Pediatric ETT
3. Both
4. None of the above

Correct answer: 1. Short trachea

Explanation: Pediatric Airway Anatomy Obligate Nasal Breathers Large Tongue Large Occiput Larynx and Trachea are funnel shaped Vocal Cords slant anteriorly Larynx located higher in neck (at C4 vs. C6 in adults) Narrowest part of the pediatric airway is at cricoid cartilage (until age 5). In adults the narrowest part is at the glottis opening Glottis Location Different: Premature Babies at C3 Newborns C3-C4 Adults C5 9. short trachea